Blood clot the size of a clenched first is roughly equal to -
1. 250 ml
2. 350 ml
3. 500 ml
4. 600 ml

Correct answer: 3. 500 ml